Highly selective proteinuria is seen in
1. Minimal change
2. Mesangial proliferative nephritis
3. Membranous glomerulonephritis
4. Focal glomerulosclerosis

Correct answer: 1. Minimal change

Explanation: Loss of glomerular basement membrane (GBM) polyanion has been proposed as a cause of the selective proteinuria in minimal change nephrotic syndrome (MCNS).The exact role of charge selectivity in the pathogenesis of nephrotic proteinuria remains controversial Proteinuria that is more than 85% albumin is selective proteinuria. Nonselective proteinuria, being a glomerular leakage of all plasma proteins, would not involve changes in glomerular net charge but rather a generalized defect in permeability Ref Harrison20th edition pg 287